The superior oblique muscle is supplied by?
1. 3rd cranial nerve
2. 4th cranial nerve
3. 5th cranial nerve
4. 6th cranial nerve

Correct answer: 2. 4th cranial nerve

Explanation: The superior oblique muscle is supplied by4th cranial nerve.